Which of the following is not approved for treatment of leprosy?
1. Ofloxacin
2. Minocycline
3. Azathioprine
4. Rifampicin

Correct answer: 3. Azathioprine

Explanation: Rifampicin is combined with dapsone to treat paucibacillary leprosy. Rifampicin and clofazimine are combined with dapsone to treat multibacillary leprosy. A single dose of combination therapy has been used to cure single lesion paucibacillary leprosy: rifampicin (600 mg), ofloxacin (400 mg), and minocycline (100 mg). Azathioprine is an immunosuppressive medication. It is used in rheumatoid arthritis, granulomatosis with polyangiitis, Crohn's disease, ulcerative colitis, and in kidney transplants to prevent rejection. Ref Harrison 20th edition pg 1212